Shortest acting beta-blocker -
1. Propranolol
2. Esmolol
3. Timolol
4. Atenolol

Correct answer: 2. Esmolol

Explanation: Ans. is 'b' i.e., Esmolol o Shortest acting b-blocker - Esmololo Longest acting b-blocker - Nodalol